Melatonin is secreted by parenchymal cells of pineal gland. Fever causes:
1. Thermoregulatory centre to shift to new level
2. Resetting of skin temperature
3. Both of the above
4. None of the above

Correct answer: 1. Thermoregulatory centre to shift to new level

Explanation: Thermoregulatory centre to shift to new level